Feed forward mechanism is employmed in regulation of:
1. Temperature
2. Ph
3. Blood pressure
4. Blood volume

Correct answer: 1. Temperature

Explanation: Feed forward control ,in which no stimulus is required but the system still anticipates and makes changes.it is also known as anticipatory control or adaptive control .It is seen in: Temperature regulation Cephalic phase of gastric acid secretion Role of cerebellum in motor coordination Thinking about exercise Ref:Guyton and Hall textbook of medical physiology 12th edition,page number:7